Primarily human pathogenic bacteria is/are
1. Salmonella typhi
2. S. paratyphi A
3. S. paratyphi B
4. All of the above

Correct answer: 4. All of the above

Explanation: S. typhi & S. paratyphi A, B and C : Man is the only natural host. Transmission ingestion of food/ water contaminated by the feces of either a carrier or a case of enteric fever. Animal commensals: S. typhimurium S. enteritidis S. newpo S. dublin S.choleraesuis